Anaesthesia contraindicated in volvulus of gut is :
1. Halothane
2. Nitrous oxide
3. Ketamine
4. Pancuronium

Correct answer: 2. Nitrous oxide